Ehlers-Danlos syndrome is a disease affecting _____.
1. Bone
2. Connective tissue
3. Muscle
4. Joints

Correct answer: 2. Connective tissue

Explanation: Ehlers-Danlos syndromes are characterized by defects in collagen (i.e., connective tissues).